Injury that comes under sec 320 IPC -
1. Abrasion over face
2. Nasal bone fracture
3. Epistaxis
4. Lacerated wound over scalp

Correct answer: 2. Nasal bone fracture

Explanation: Sec 320 IPC defines grievous hurt and among the given options, only b (fracture) is grievous injury.